Under the WHO 'Vision 2020' programme. the 'SAFE' strategy is adopted for which of the following diseases?
1. Glaucoma
2. Diabetic retinopathy
3. Onchocerciasis
4. Trachoma

Correct answer: 4. Trachoma

Explanation: SAFE strategy was devised by WHO for the treatment of trachoma. SAFE stands for: S - Surgery (of the lids for trichiasis) A - Antibiotics F - Facial cleanliness E - Environmental change Ref : Park's Textbook of Preventive medicine